In portal hypertension the sites of portosystemic anastomosis includes:-
1. Lower end of esophagus
2. Around umbilicus
3. Lower third of rectum and anal canal
4. All of the above

Correct answer: 4. All of the above

Explanation: Porto-Systemic Anastomosis Location Portal component Systemic component Esophagus varices Left gastric vein Azygous vein and accessory hemiazygous vein Rectum and anal Canal Hemorrhoids Superior rectal vein Middle and inferior rectal vein Umbilicus Caput medusa Left branch of portal vein Superficial epigastric veins Posterior abdominal wall Colic and omental veins Retroperitoneal veins of abdominal wall, renal capsule, splenic and hepatic flexure Bare area of liver Hepatic venules Right branch of portal vein Phrenic and intercostal veins Retroperitoneal veins draining into lumbar, azygous and hemiazygous veins Liver Patent ductus venosus left branch of portal vein Inferior vena cava